Prions include:
1. DNA and RNA
2. Only RNA
3. Proteins
4. Only DNA

Correct answer: 3. Proteins

Explanation: Answer is C (Proteins): Prions are infectious proteins devoid of any nucleic acid (RNA or DNA)